Azzospermia seen in which syndrome -
1. Katargener syndrome
2. Young syndrome
3. Both
4. None

Correct answer: 2. Young syndrome

Explanation: Young's syndrome, also known as azoospermia sinopulmonary infections, sinusitis-infertility syndrome, and Barry-Perkins-Young syndrome, is a rare condition that encompasses a combination of syndromes such as bronchiectasis, rhinosinusitis and reduced fertility. In individuals with this syndrome the functioning of the lungs is usually normal but the mucus is abnormally viscous. The reduced fertility (azoospermia) is due to functional obstruction of sperm transport down the genital tract at the epididymis where the sperms are found in the viscous, lipid-rich fluid. Primary ciliary dyskinesia (PCD), also called immotile ciliary syndrome or Kartagener syndrome, is a rare, ciliopathic, autosomal recessive genetic disorder that causes defects in the action of cilia lining the respiratory tract (lower and upper, sinuses, Eustachian tube, middle ear), fallopian tube, and flagellum of sperm cells. signs and symptoms: situs inversus with dextrocardia bronchiectasis chronic sinusitis male infertility(conception can be achieved with in-vitro fertilization). Ref: wikipedia